Drug used in hepatitis B infection is -
1. Entecavir
2. Astacavir
3. Zanamivir
4. Abacavir

Correct answer: 1. Entecavir

Explanation: Ans. is 'a' i.e., Entecavir o Entecavir is the DOC for chronic hepatitis B infection.